which of the following is not a negative phase reactants ?
1. albumin
2. transthyretin
3. ferritin
4. tranferrin

Correct answer: 3. ferritin

Explanation: Acute Phase Reactants (Proteins) Defined-normal serum constituents that increase rapidly because of infection, injury, or trauma to tissues. Acute-phase proteins are a class of proteins whose plasma concentrations increase or decrease in response to inflammation. This response is called the acute-phase reaction . In response to injury local inflammatory cells (neutrophils, granulocytes and macrophages) secrete a number of cytokines into the bloodstream, most notable of which are the interleukins. The liver responds by producing a large number of acute-phase reactants. ref : robbins 10th ed